The most common site of rupture of the esophagus during rigid esophagoscopy is at
1. Above cricopharynx
2. Near vocal cords
3. Gastroesophageal junction
4. At killian's dehiscence

Correct answer: 4. At killian's dehiscence

Explanation: Complications of Rigid esophagoscopyInjury to lips and teethInjury to arytenoidsInjury to pharyngeal mucosaPerforation of the esophagus; most often it occurs at the site of killian's dehiscence (near the cricopharyngeal sphincter)Compression of tracheaRef: PL Dhingra, Diseases of Ear, Nose & Throat, 7th edition, pg no. 486 - 487